True about physiological Jaundice -
1. Jaundice appear within first 24 hour
2. Jaundice disappear in 3rd week
3. Sudden rise of bilirubin
4. None

Correct answer: 4. None

Explanation: Ans. is None Criteria for physiological jaundice Clinical jaundice appears after 24 hours of age Total bilirubin rises by less than 5mg/dl per day (no sudden rise) o Peak bilirubin occurs at 3-5 days of age, with a total bilirubin of no more than 15 mg/dl Clinical jaundice is resolved by 1 weeks in term infants and 2 weeks in preterm infants.